Hegar's sign of pregnancy is :
1. Uterine contraction
2. Bluish discoloration of vagina
3. Softening of isthmus
4. Quickening

Correct answer: 3. Softening of isthmus

Explanation: Ans. is c i.e. Softening of isthmus Hegar's siy:1 is present ,n 2/3rd cases and is demonstrated between 6 - 10 weeks. The sign is based on the fact that - upper part of the body is enlarged by the growing ovum whereas lower part of the body of the uterus i.e. isthmus is empty and soft and cervix is comparatively firm. Because of theses variations in consistency- on bimanual examination, the abdominal and vaginal fingers seem to appose below body of the uterus.